Pauci-immune RPGN is?
1. Good-Pasture syndrome
2. MPGN
3. Wegener granulomatosis
4. Alport's syndrome

Correct answer: 3. Wegener granulomatosis

Explanation: Ans. is 'c' i.e., Wegener granulomatosis Rapidly progressive glomerulonephritisType 1 RPGN(Anti GBM antibody)Type II RPGN(Immune complex)Type III RPGN(Pauci immune)* Idiopathic* Good-pasture syndrome* Idiopathic* Post infectious* Systemic lupus erythematous* Henoch schonlein purpura* IgA nephropathy* Membranoproliferative GN* Cryoglobulinaemia* ANCA associated* Idiopathic* Wegener granulomatosis* Microscopic PAN* Microscopic polyangitis